A 60 year old man admitted with a pathological fracture on examination he was found to be anemic, laboratory examination showed ESR: 100mm/hr, X-ray - multiple lytic lesions. Peripheral smear showed increased rouleaux formation of the red cells and thrombocytopenia. Bone marrow examination confirmed the diagnosis
1. CML
2. Vitamin D deficiency
3. Multiple myeloma
4. Diffuse large B Cell Lymphoma

Correct answer: 3. Multiple myeloma

Explanation: Above clinical features are charateristic of multiple mycloma.